Toll like receptors are expressed by
1. macrophages
2. Epithelial cells
3. fibroblasts
4. All the above

Correct answer: 4. All the above